Rb gene is located on which chromosome?
1. 6
2. 9
3. 13
4. 21

Correct answer: 3. 13

Explanation: Ans. is 'c' i.e., 13 RB gene (Retinoblastoma gene)o Retinoblastoma gene (RB gene) is located on 14 band on the long arm of chromosome 13 (13ql4). RB gene is a tumor supressor gene. Retinoblastoma develops when both the normal alleles of the RB genes are inactive or altered. It is typical example of Knudson's two hit hypothesis.o RB gene is active in hypophosphorylated state & regulates cell cycle at G1 S transition.o Most common other tumor associated with familial retinoblastoma is osteosarcoma followed by breast, lung and bladder carcinoma.